DNA onchogenic viruses are all EXCEPT:
1. HTLV
2. Adenovirus
3. EBV
4. HPV

Correct answer: 1. HTLV

Explanation: ANSWER: (A) HTLVREF: Robbins 7th ed p.324Oncogenic DNA VirusesVirusDiseaseCancerPapova viridae Papilloma virus (some)Warts, including STD genital wartsUterine (cervical) cancerHerpes viridaeLymphocryptovirus (Epstein-Barr virus)Infectious mononucleosisBurkitt's lymphoma Nasopharyngeal carcinoma Hodgkin's diseaseHepadna virus Hepatitis B virus(HBV)Hepatitis B (infectious hepatitis)Liver cancerAdenoviridaeAcute respiratory disease; Common coldAdenocarcinomas (cancer of glandular epithelial tissues)PoxviridaeSmallpox; cowpoxMiscellaneous Oncogenic RNA Viruses of the Family RetroviridaeVirusCancerHuman T-celt leukemia virus (HTLV-1; HTLV-2)Adult T-cell leukemiaLymphomaSarcoma viruses of cats, chickens, rodentsSarcomas (cancer of connective tissues)Mammary tumor virus of miceMammary gland tumorsFeline leukemia virus (FeLV)Feline leukemia